Ring worn infection affects –
1. Dermis
2. Papillary layer
3. Stratum corneum
4. Prickle cell layer

Correct answer: 3. Stratum corneum